Fracture of proximal forearm cast position is
1. Pronated flexion
2. Neutral position
3. Supinated position
4. Position does not matter

Correct answer: 3. Supinated position

Explanation: Definition of supination.
1: rotation of the forearm and hand so that the palm faces forward or upward; also :

a corresponding movement of the foot and leg in which the foot rolls outward with an elevated arch.

2: the position resulting from supination.